Rigor mortis in fetus at birth can be seen in -
1. Dead born
2. Still born
3. Superfoetation
4. Superfecundation

Correct answer: 1. Dead born

Explanation: Ref:Textbook of forensic medicine and toxicology (V.V.Pillay) 17th edition, page no.378 A dead born child is one which has died in utero, and shows any one of the sign like,maceration, putrefication,mummification or rigor mous after it is completely born. Rigor mortis- In the early stages after intrauterine death, if the foetus has developed to nearly full term, rigor mortis may set in. The delivery of such a foetus may be difficult.